Best assay for deficiency of von Willebamd factor is:
1. Bleeding time
2. BT + APTT
3. BT + APTT + vWF-ristocetin factor assay
4. PT

Correct answer: 3. BT + APTT + vWF-ristocetin factor assay

Explanation: Answer is C (BT + APTT + vWF-ristocetin factor assay) Estimation of BT, APTT and VWF-Ristocetin factor assay would provide the maximal information to aid a diagnosis of VWF disease (amongst the options provided)